FNAC needle size
1. 18-22
2. 22-26
3. 27-29
4. 16-18

Correct answer: 2. 22-26

Explanation: Fine needle aspiration cytology (FNAC) is cytological study of tumour cells to find out the disease and also to confirm whether it is malignant or not. It is done using 23 or 24 gauge needle(22-26 G) fixed to specialised syringes which creates negative pressure for aspiration and contents are smeared on the slides. It is done in parotid, thyroid, lymph node, breast and all other surface lesions. Reference : page 278 SRB's manual of surgery 5th edition